Oligospermia caused by aEUR'
1. Methotrexate
2. Hydroxychloroquine
3. Leflunomide
4. D-peniollamine

Correct answer: 1. Methotrexate

Explanation: Methotrexate "Transient but reversible oligospermia has been reported in males receiving high dose methotrexate for cancer chemotherapy". Defective oogenesis or spermatogenesis "Occurs in methotrexate therapy"